Pioneer nerve fibers enter into dental papilla in
1. Bud stage
2. Cap stage
3. Advanced bell stage
4. Bell stage

Correct answer: 3. Advanced bell stage